Pond fracture occurs seen in?
1. 45 year old man with bullet wounds over abdomen
2. 54 year old woman with accidental fall from height
3. Child born following difficult forceps delivery.
4. Sutural diastasis during putrefaction

Correct answer: 3. Child born following difficult forceps delivery.

Explanation: Pond fracture is exclusively seen in skull of infants and children. It is also known as ping pong fracture. It can occur following difficult forceps delivery.